Amelobtastoma is best managed by:
1. Chemotherapy
2. Radiotherapy
3. Gene therapy
4. Surgical excision

Correct answer: 4. Surgical excision